3-year-old child comes in ER with Hv'o vomiting, loose watery motion for 3 days, on examination, the child was drowsy, sunken eye. Hypothermia and skin pinch take time to revert back, diagnosis
1. No dehydration
2. Mild dehydration
3. Some dehydration
4. Severe dehydration

Correct answer: 4. Severe dehydration

Explanation: on  A child with severe dehydration will have at least two of the following four signs: sensorium is abnormally sleepy or lethargic, sunken eyes, drinking poorly or not at all, and a very slow skin pinch.
A child with some signs of dehydraon will have two of the following: restlessness or irritability, sunken eyes, drinking eagerly or slow skin pinch.
A child with either one or none of these signs is classified as having no signs of death